Most common neoplasm of appendix is
1. Pseudomyxoma peritonei
2. Adenocarcinoma
3. Carcinoid
4. Lymphoma

Correct answer: 3. Carcinoid

Explanation: Carcinoid tumours arise in argentaffin tissue (Kulchitsky cells of the crypts of Lieberkuhn) and are most common in the vermiform appendix.The tumour can occur in any part of the appendix, but it is frequently found in the distal third.Ref: Bailey & Love's Short Practice of Surgery